Most effective anti TB drug acting on slow multiplying intracellular bacteria?
1. INH
2. Ethambutol
3. Streptomycin
4. Pyrazinamide

Correct answer: 4. Pyrazinamide

Explanation: Slow intracellular bacteria are best killed with Pyrazinamide. Streptomycin kills extracellular organisms. INH and rifampin kills both.Ref: KD Tripathi 6th ed; Pg: 769